Cardiac output in L/min divided by heart rate equals:
1. Cardiac efficiency
2. Mean stroke volume
3. Cardiac index
4. Mean arterial pressure

Correct answer: 2. Mean stroke volume

Explanation: Answer is B (Mean Stroke Volume) Mean stroke volume is the amount of blood pumped out of each ventricle per beat. It is calculated as the cardiac output in L/min divided by the heart rate. Mean Stroke Volume = Cardiac Output Hear Rate Parameter Definition Value Cardiac output The output of the heart per unit time 5L/mindeg Stroke volume The amount of blood pumped out of each ventricle per beat. Mean stroke volume = Cardiac output/Heart rate 70 ml(-) Cardiac Index Cardiac output/ body surface areadeg 3.2L/miry/m'0'